The intense pain associated with a felon occurs because of
1. Bone involvement
2. A closed space infection
3. Digital artery thrombosis
4. Nail bed involvement

Correct answer: 2. A closed space infection

Explanation: A closed space infection : A felon is an infection of the distal pulp space of a digit, usually secondary to a puncture wound. This is a closed space at the level of the distal interphalangeal joint. Since the infection cannot spread proximal to this point, pain is throbbing and intense. Late osteomyelitis may develop in the distal phalanx if the felon is not opened appropriately.